HRT improves -
1. Bone density
2. Coronary art dis
3. Dementia
4. Endometrial cancer

Correct answer: 1. Bone density

Explanation: Ans. is 'a' i.e., Bone density Indications of HRTTherapeutico Symptoms of oestrogen deficiencyo Gonadal dysgenesis in adolescentsProphylactico High risk cases for menopausal complications such as CVD, osteoporosis (decreased bone density), stroke, Alzheimer disease, colonic cancero Premature menopause, spontaneous or following surgery (hysterectomy, tubectomy)o Menopause caused by radiotherapy or chemotherapy for cancerComponents of HRTEstrogenProgestino Oral or transderma!o Given in conjunction with oestrogen in women with an intact uterus to decrease the risk of endometrial carcinomao Transdermal is preferred for women with hvpertryglyceridimia or impaired hepatic functions o Given alone in women who have undergone hysterectomy Side effectso Abnormal uterine bleedingo Mastodyniao Edema, bloating, heart bum and nauseao Mood changes (worsen in progesterone phase of combined therapy)RisksUncertainCertaino Thromboembolic events (with combination therapy)o Coronary heart diseaseo Dementiao Breast cancer (with combination therapy)o Endometrial cancer (only with use of estrogen)o Strokeo Ovarian cancer (with combination therapy)o Cholecystitis